Direction of Nasolacrimal Duct is
1. Downward,Backward and Medially
2. Downward,Backward and Laterally
3. Downward,Forward and Medially
4. Downward,Forward and Laterally

Correct answer: 2. Downward,Backward and Laterally

Explanation: O Nasolacrimal duct opens in anterior part of inferior meatus. O Direction of nasolacrimal duct is Backwards (Inwards),laterally and downwards (pneumonic: NLD). It courses anterior to maxillary ostium O Opening of nasolacrimal duct is guarded by Hasner's mucosal valve